Which o these areas is called the "key area" for orbital reconstruction?
1. Postero-medical wall
2. Postero-lateral wall
3. Antero-medial wall
4. Antero-lateral wall

Correct answer: 1. Postero-medical wall

Explanation: The postero-medial wall and its transition in to the posterior orbital floor is one of the most critical components of orbital reconstruction. It is called the key area and recommended to reconstruct it with rigid fixation as the first step.